Third heart sound occurs during
1. Early rapid filling phase of ventricular diastole
2. Late rapid filling phase of ventricular diastole
3. Phase of protodiastole
4. None of the above

Correct answer: 1. Early rapid filling phase of ventricular diastole

Explanation: 3rd heart sound is due to passive ventricular filling which occurs in early rapid filling phase of ventricular diastole.